Which of the following is gram positive bacillus-
1. Staphylococcus
2. Streptococcus
3. Listeria
4. Meningococci

Correct answer: 3. Listeria

Explanation: Ans. is 'c' i.e., Listeria Gram positive bacteriao There are 6 classic gram positive bacteria that cause human disease,o Of these 2 are cocci1. Staphylococci2 Streptococci (including anaerobic peptostreptococci)o Other 4 are bacilli1. Corynebacterium3. Clostridium2 Bacillus4. Listeria